Congenital cyanotic heart disease with pulmonary oligemia is seen with -
1. ASD
2. VSD
3. Tricuspid atresia
4. Hypoplastic left ventricle

Correct answer: 3. Tricuspid atresia

Explanation: Ans. is 'c' i.e., Tricuspid atresia Classification and diagnosis of congenital heart diseases. o Congenital heart diseases are basically divided into the following groups : ? Structural heart defects In general these defects are known as congenital heart diseases. Functional heart defects e.g., congenital cardiac arrhythmias. Positional heart defects e.g., dextrocardia. Structural heart defects (Congenital heart disease) o These are divided into two main groups. Acyanotic congenital heart diseases Cyanotic congenital heart diseases. o Each group is further divided according to : - i) Pulmonary blood flow Increased, normal or decreased (oligemia). Dominated (hypertrophied ventricle) ---> Right or left.